Type of diarrhea in Vibrio cholera is
1. Osmotic
2. Secretary
3. Colloidal
4. Bloody

Correct answer: 2. Secretary

Explanation: cholera is an acute diarrheal disease caused by V.cholera. In its most severe form, it presents as profuse painless, watery diarrhea and copious effortless vomiting; this may lead to hypovolemic shock and death. The cholera stool is typically a colorless watery fluid with flecks of mucus, said to resemble water in which rice has been washed (hence called 'rice-water stools') Ref: Textbook of microbiology; Ananthanarayan and paniker's; 10th Edition; Pg:313